Reversible dementia is seen in all EXCEPT:
1. Wernickes encephalopathy
2. Alzheimer's
3. Hypothyroidism
4. Head trauma

Correct answer: 2. Alzheimer's

Explanation: Ans. (b) Alzheimer'sRef: Harrison's 18th ed. 3300-07* Alzheimer's disease is most common cause of irreversible dementia.Reversible vs Irreversible dementiaReversibleIrreversibleVitamin deficiency# B1-Wernicke's# B12-SCID# Nicotinic acid- PellagraAlzheimer'sEndocrine (hypothyroidism, adrenal insufficiency, cushing's)Vascular dementia (multi- infarct)Head trauma and diffuse brain damageHaemorrh age- subdural, epidural,Normal pressure hydrocephalusLeucoencephalopathyPrimary metastatic brain tumorMetabolic disorder (wilson's disease, Leigh disease, Leucodystrophy)Toxic dementia (MCC of reversible dementia)Degenerative disorder (parkinsonism, Pick's disease, Prion's disease, multiple sclerosis, hunting ton's disease, diffuse lewy body dementia)